Dermatitis herpetiformis is associated with
1. Ulcerative colitis
2. Crohn's disease
3. Irritable bowel syndrome
4. Gluten sensitive enteropathy

Correct answer: 4. Gluten sensitive enteropathy

Explanation: Dermatitis herpetiformis (DH) is a chronic disease of the skin marked by groups of watery, itchy blisters that may resemble pimples or blisters.DH is a hereditary autoimmune gluten intolerance disease linked with celiac disease. If you have DH, you always have gluten intolerance Ref Harrison20th edition pg 1234